Which nut has highest protein content -
1. Walnut
2. Groundut
3. Almond
4. Coconut

Correct answer: 2. Groundut

Explanation: Nuts and oilseeds Included in this group are groundnut (Peanut), cashewnut, coconut, walnut, almonds, pistachio, mustard seeds, sesame seeds, cotton seeds, sunflower seeds, maize germ and many others from which cooking oils are extracted. Nuts and oilseeds contain good amount of fat and good quality protein in a relatively small bulk. Regarding the fat content, walnuts contain 64.5 per cent, almonds 58. 7 per cent, cashewnuts 46.9 per cent and groundnut 40 per cent. Peanut (groundnut) butter is a very valued article of the diet. Regarding protein content, groundnut tops the list with 26.7 per cent. Being of vegetable origin, their protein is not equal to that of meat or eggs in quality. Nuts are good sources of vitamins of the B-group. They contribute minerals such as calcium, phosphorus, and iron. Among the commonly used nuts, cashewnuts and almonds are good sources of iron, but pistachio is the richest containing 14 mg of iron per 100 g Ref :Park 25th edition Pgno : 649